HLA associated with psoriasis -
1. HLA-B27
2. HLA-DR4
3. HLA-CW6
4. HLA-B8

Correct answer: 3. HLA-CW6

Explanation: Ans. is 'c' i.e., HLA-CW6 Psoriasis vulgaris is associated with HLA-CW6..